C-carbohydrate in Streptococcus hemolyticus is important for -
1. Lancefield classification
2. Phagocytic inhibition
3. Toxin production
4. Haemolysis

Correct answer: 1. Lancefield classification

Explanation: Ans. is 'a' i.e., Lancefield classification